All are principal digestive enzymes produced by exocrine pancreas EXCEPT?
1. Trypsinogen
2. Lipase
3. Lactase
4. Amylase

Correct answer: 3. Lactase

Explanation: Ans. C LactaseRef: Ganong, 25th ed. pg. 461The enzymes produced by exocrine pancreas are:1.Trypsinogen2.Chymotrypsinogens3.Elastase4.Carboxypeptidase A and B5.Colipase6.Pancreatic lipase7.Pancreatic alpha amylase8.Phospholipase A2Lactase is produced by cells of intestinal mucosa to breakdown lactose.